The current treatment of choice for a large Antro- choanal polyp in a 30 year old man is -
1. Intranasal polypectomy
2. Caldwell Luc operation
3. E.S.S. (Endoscopic sinus surgery)
4. Lateral Rhinotomy and excision

Correct answer: 3. E.S.S. (Endoscopic sinus surgery)

Explanation: Ans. is 'c' i.e., Endoscopic sinus surgery Current t/t of choice for antero choanal polypThese days, endoscopic sinus surgery has superseded other modes of polyp removal.(Caldwell-luc operation is avoided these days).T/T of Antrochoanal polypAn Antrochoanal polyp is easily removed by avulsion either through the nasal or oral route.In case of recurrence Caldwell luc operation is requiredAlso know,The t/t of Ethmoidal polyp* One or two pedunculated polyps- Polypectomy* Multiple and sessile polyp- Intranasal ethmoidectomy* Recurrence of polyp after- Extranasalintranasal proceduresethmoidectomy* Infection and Polypoidal changes- Transantralalso seen in maxillary antrumethmoidectomyThese days ethmoidal polyps are also removed by endoscopic sinus surgery more popularly called FESS.